Inhibitors of serotonin (5-HT) uptake, such as paroxetine, can cause clinically significant drug interactions with which of the following?
1. Diazepam
2. Digoxin
3. Halothane
4. Tranylcypromine

Correct answer: 4. Tranylcypromine

Explanation: Fatalities have been reported when fluxetine and MAO inhibitors (MAOI's) such as tranylcypromine have been given simultaneously. The MAOIs should be stopped at least 2weeks before the administration of fluoxetine or paroxetine. Note that a similar severe interaction can occur between tricyclic antidepressants and MAOIs; the same warning against "overlapping" the two classes of drugs, and allowing one to "Clear" the system completely before starting the other, applies.